A patient has prosthetic valve replacement and he develops endocarditis 8 months later. Organism responsible is
1. Staphylococcus aureus
2. Streptococcus viridans
3. Staphylococcus epidermidis
4. HACEK

Correct answer: 3. Staphylococcus epidermidis

Explanation: Staphylococcus epidermidis is invariably present on the normal human skin. It is non-pathogenic ordinarily but can cause disease when the host defences are breached. It is a common cause of stitch abscess. It has a predilection for growth on implanted foreign bodies such as artificial heart valves, shunts, intravascular catheters and prosthetic appliances, leading to bacteremia. Hospital strains are multi-drug resistant. It can cause cystitis and central line-associated BSI. Biofilm formation is an important factor in the pathogenesis. It is an extracellular polysaccharide matrix which protects bacteria from antibacterial agents and helping colonisation and resistance to infection. Reference: Textbook of Microbiology; Anathanarayan and panicker's; 10th edition; Page no: 208